Palatoprints for identification of the person is performed by taking prints from which area of the hard plate
1. Lateral
2. Anterior
3. Middle
4. Posterior

Correct answer: 2. Anterior

Explanation: B i.e. Anterior Superimposition technique determines whether the skull is that of a person in photograph or notQ Palatoprints for identification of persons is performed by taking prints from anterior part of hard palateQ Cheiloscopy is utilization of lip prints as a means of personal identificationQ